Commonest testicular malignancy is -
1. Seminoma
2. Teratoma
3. Choriocarcinoma
4. Embryonal cell carcinoma

Correct answer: 1. Seminoma